Number of bed recommended for community health center -
1. 5
2. 10
3. 20
4. 30

Correct answer: 4. 30

Explanation: Ans. is 'd' i.e., 30 * Each community health centre covers a population of80000 to 1,20 Lakh.* It has 30 beds and specialist in Surgery, Medicine, Obstetrics & Gynaecology, and pediatrics with x-ray and laboratory facilities.* For strengthening preventive and promotive aspects of health care, new non-medical (not medical) post called community health officer (CHO) has been created at each CHC.* The CHO is selected with a minimum of 7years experience in rural health programmes.